Western blot is done for:
1. DNA
2. RNA
3. Lipid
4. Protein

Correct answer: 4. Protein

Explanation: Western Blotting detects Protein. Northern Blotting detects RNA. Southern Blotting detects DNA. South-Western Blotting detects protein-DNA interactions. Technique Sample Analyzed Probe Southern Blot / DNA - DNA Hybridization DNA DNA Northern Blot / RNA - DNA Hybridization RNA DNA Western Blot / Immuno Blot Protein Antibody South Western Blot Protein - DNA DNA Microarray mRNA or cDNA DNA ELISA Protein or Antibody Fig.: Basic Principle of Blotting